Chediak Higashi syndrome is characterized by-
1. Giant granules in leukocytes
2. Albinism
3. Mutation in LYST gene
4. All the above

Correct answer: 4. All the above

Explanation: Ans. is 'd' i.e., All the above